Which of the following statement about Bradykinin is true:
1. Causes pain
2. Causes bronchodilation
3. Causes vasoconstriction
4. Decreases vascular permeability

Correct answer: 1. Causes pain

Explanation: A i.e. Causes PainBradykinin increases vascular permeability, and causes contraction of smooth muscle (utrine, intestine, bronchoconstriction), dilation of blood vessels and painQ when injected into the skin. These effects are similar to those of histamine.